Regarding CRAo which is true?
1. Atherosclerosis in carotid arteries & emboli originating in heart are 2 most common cause
2. Relative afferent pupillary defect is absent
3. Local intraarterial thrombolysis has proven benefit
4. Majority of patient will recover to gain good visual acuity

Correct answer: 1. Atherosclerosis in carotid arteries & emboli originating in heart are 2 most common cause

Explanation: A;Atherosclerosis in carotid arteries & emboli originating in heart are 2 most common cause